Cortical blindness with confabulation is seen in
1. Wernicke's Encephalopathy
2. Anton syndrome
3. Psychogenic amnesia
4. Korsakoff syndrome

Correct answer: 2. Anton syndrome

Explanation: -Anton syndrome is characterized by cortical blindness and confabulation (unconscious filling of gaps in memory by imagining events). The patient denies loss of vision (known as visual anosognosia) and defends it by confabulation even when there is obvious evidence of visual loss and cortical blindness.-It is due to occipital lobe damage, in addition to which, other cortical centers are also affected contributing to this peculiar behaviour.-Korsakoff syndrome is characterized by predominant anterograde amnesia and some retrograde amnesia. Confabulation is present in order to cover the memory deficit.-Wernicke's encephalopathy is characterized by confusion, ophthalmoplegia, and ataxia.-Psychogenic amnesia does not present with confabulation.